Which of the following Dopamine agonist can be used to treat Diabetes mellitus?
1. Bromocriptine
2. Ropinirole
3. Cabergoline
4. Selegiline

Correct answer: 1. Bromocriptine

Explanation: Bromocriptine is a D2 receptor agonist approved for Type 2 DM as dopamine alters Insulin resistance.